Double aortic arch occurs due to?
1. Non development of right 4th aortic arch
2. Non development of left 4th aortic arch
3. Non divison of truncus arteriosus
4. Persistent distal portion of right dorsal aorta

Correct answer: 4. Persistent distal portion of right dorsal aorta

Explanation: Double aortic arch occurs due to persistent distal portion of right dorsal aorta. This will lead to difficulty in breathing and swallowing due to compression of bronchi and esophagus by Right side aortic arch.